All are granulomatous diseases except
1. Syphilis
2. Sarcoidosis
3. Schistosomiasis
4. P.carinii

Correct answer: 4. P.carinii

Explanation: ref Robbins 8/e p246,9/e p98 Chronic granulomatous disease (CGD) (also known as Bridges-Good syndrome, chronic granulomatous disorder, and Quie syndrome) is a diverse group of hereditary diseases in which certain cells of the immune system have difficulty forming the reactive oxygen compounds (most importantly the superoxide radical due to defective phagocyte NADPH oxidase) used to kill certain ingested pathogens.This leads to the formation of granulomata in many organs. patients with chronic granulomatous disease will suffer from recurrent bouts of infection due to the decreased capacity of their immune system to fight off disease-causing organisms. The recurrent infections they acquire are specific and are, in decreasing order of frequency: pneumonia abscesses of the skin, tissues, and organs septic arthritis osteomyelitis bacteremia/fungemia superficial skin infections such as cellulitis or impetigo Most people with CGD are diagnosed in childhood, usually before age 5.] Early diagnosis is important since these people can be placed on antibiotics to ward off infections before they occur. Small groups of CGD patients may also be affected by McLeod syndrome because of the proximity of the two genes on the same X-chromosome.